On complete hydrolysis of DNA, we will get all following except:
1. Adenosine
2. Purine base
3. Phosphoric acid
4. Dexose pentose sugar

Correct answer: 1. Adenosine

Explanation: A i.e. Adenosine- Nitrogen base + sugar = Nucleoside - Adenosine is a nucleoside composed of ?- Nucleoside + phosphate = Nucleotide - Adenine (Nitrogen base)- Nucleotides linked together by. 3' 5' - Ribose (Pentose sugar)phosphodiester bond = Nucleic acid. - On complete hydrolysis, Adenosine should yield the above two component individually.